Heel-raising movement of a RPD is prevented by:
1. Occlusal rests
2. Minor connector
3. Direct retainer
4. Indirect retainer

Correct answer: 4. Indirect retainer